Swarming is seen in:
1. Clostridium perfringens
2. Clostridium tetani
3. Clostridium botulinum
4. Clostridium difficile

Correct answer: 2. Clostridium tetani

Explanation: Ans. B. Clostridium tetaniSwarming/ spreading type of growth is seen in many bacteria i.e. Proteus, Clostridium tetani, Vibrio parahemolyticus etc.